Which of the following is a cholagogne-
1. Secretin
2. CCK
3. VIP
4. Gastrin

Correct answer: 2. CCK

Explanation: Ans. is 'b' i.e., CCK Regulation of biliary secretion* The entry of bile into the duodenum increases either when the liver cells increase their bile secretion or when the gall bladder pours out its stored bile.1) Cholerectics:# Substances that increase hepatic bile secretion are called cholerectics.# The most importantcholerectics are bile salts themselves. Other cholerectic is secretin.2) Cholagogues:# Substances that cause gall bladder contraction to pour its bile are called cholagogues.# The most important cholagogue is cholecystokinin (CCK). Fatty acids and amino acids in the duodenum stimulate the release of CCK which causes gall bladder contraction.